First part of vertebral artery is related to:
1. Superior cervical ganglion
2. Middle cervical ganglion
3. Stellate ganglion
4. Ciliary ganglion

Correct answer: 3. Stellate ganglion